The drug of choice in Cryptococcal Meningitis is -
1. Pentostatin
2. Amphotericin B
3. Clotrimazole
4. Zidovudine

Correct answer: 2. Amphotericin B